The alternative of Eugenol is
1. Orthoethoxy benzoic acid
2. Ortho phosphoric acid
3. Poly(acrylic acid)
4. Citric acid

Correct answer: 1. Orthoethoxy benzoic acid